Maximum consumption of antibiotics occurs for:
1. Human therapeutic use
2. Human non-therapeutic use
3. Animal therapeutic use
4. Animal non-therapeutic use

Correct answer: 4. Animal non-therapeutic use

Explanation: Ans. D. Animal non-therapeutic useLargest antimicrobial use occurs for animal non-therapeutic purpose (70%), followed by animal therapeutic purpose (15%). Human use accounts only 15% of total antimicrobial consumption, of which only 9% is actually used for human therapeutic purpose.